A six year old boy presents with echymoses and petichiae all over the body 2 weeks after an upper respiratory tract infection Abdominal examination is unremarkable with no hepatosplenomegaly All of the following statements about the affecting condition are true Except:
1. Bleeding into the joints is a common manifestation
2. Bone marrow will show increased megakaryocytes
3. Platelet count is decreased
4. Condition resolves spontaneously in 80% of patients in 2 to 6 weeks

Correct answer: 1. Bleeding into the joints is a common manifestation

Explanation: Answer is A (Bleeding into joints is a common manifestation): The patient in question is presenting with Acute Idiopathic Thrombocytopenic Purpura (ITP) Bleeding into joints is an uncommon manifestation of ITP. Bleeding into joints is commonly seen in coagulation aisorders and not in bleeding disorders (platelet disorders) like ITP Thrombocytopenia, increased number of megakarvocytes and spontaneous remission in 80% of cases are characteristic features of Acute ITP.